18-30 fluted carbide but is used for:
1. Finishing
2. Polishing
3. Grinding
4. Contouring

Correct answer: 1. Finishing